The gold standard for diagnosis of gastroesophageal reflux disease (GERD) is
1. Endoscopy
2. Barium swallow
3. Esophageal manometry
4. 24-hours ambulatory pH monitoring

Correct answer: 4. 24-hours ambulatory pH monitoring

Explanation: The most sensitive test for diagnosis of GERD is 24-h ambulatory pH monitoringRef: Harrison; 19th edition; Page no: 1894